Organophosphate insecticides are all except – a)  Dieldrinb)  Fenthion c)  Diazinond)  Propoxure)  Lindane
1. acd
2. bde
3. ade
4. ad

Correct answer: 3. ade

Explanation: Organo-phosphorus Insecticides:
– Malathion – Parathion
– Fenthion – Diazinon
– Fenitrothion – Chlorpyrifos
– Dioxathion – Chlorthion
Organo-chlorine Insecticides:
– DDT – BHC (HCH)
– Lindane – Dieldrin
Carbamate Insecticides:
– Carbaryl – Propoxur